Ideal contraceptive for newly married couple is
1. Barrier method
2. Combined OCP
3. IUCD
4. Progesterone only pill

Correct answer: 2. Combined OCP

Explanation: Combined oral contraceptive pill [Ref. Dutta 7/e p. 5591 Best contraceptive for newly married couple is combined oral contraceptive pill (COC). -Combined oral contraceptive has lesser failure rate than progestin only pill. - IUCD's should not be used in newly married couple. Also know Best contraceptive for parous young women --) IUCD (considered the best method for spacing child birth).